A 2 yrs old boy, is brought with sudden onset of stridor and respiratory difficulty. The chest examination reveals decreased breath sounds and wheeze in the right side. The chest X-Ray showed an opaque right hemithorax. Which of the following is the most likely diagnosis:
1. Pneumothorax
2. Acute epiglottitis
3. Massive pleural effusion
4. Foreign body aspiration

Correct answer: 4. Foreign body aspiration

Explanation: Foreign body inhalation is most common cause of acute collapse with peak age incedence in 1-2 years. Ref: Textbook of Pediatrics By K.N Agarwal, 2010, Page 235